The following drugs have significant drug interaction with digoxin, except -
1. Cholestyramine
2. Thiazide diuretics
3. Quinidine
4. Amlodipine

Correct answer: 4. Amlodipine

Explanation: Ans. is `d' i.e., Amlodipine Diuretics, amphotericin B' and corticosteroids cause hypokalemia can precipitate digitalis induced arrhythmias. Quinidine reduces binding of digoxin to tissue proteins as well as its renal and biliary clearance T Plasma concentration of digoxin toxicity can occur. Cholestyramine, sucralfate, neomycin, sulfasalazine, antacids and kaolin-pectin reduce absorption of digoxin.